Macrophages containing large quantities of undigested and partial digested bacteria in the intestine are seen in -
1. Whipple's disease
2. Amyloidosis
3. Immunoproliferative small intestinal disease
4. Vibrio cholerae infection

Correct answer: 1. Whipple's disease

Explanation: The hallmark of Whipple’s disease is a small intestinal mucosa laden with distended macrophages in the lamia propria.
The macrophages contain periodic acid– Schiff (PAS) positive granules and small rod shaped bacilli)